Acute liver injury associated with hepatitis B virus is due to -
1. Direct cytopathic effect of the virus
2. Sensitized cytolytic T-cells
3. Immune-complex mediated tissue damage
4. Vasculitis

Correct answer: 2. Sensitized cytolytic T-cells